Which of the following is used as prophylaxis for meningococcal meningitis ?
1. Gentamicin
2. Erythromycin
3. Rifampicin
4. Chloramphenicol

Correct answer: 3. Rifampicin